The' 1/2 life of 1131 is:
1. 8 hours
2. 2 days
3. 5.2 days
4. 8 days

Correct answer: 4. 8 days

Explanation: Ans. 8 days